A 5 year old child with gas under diaphragm is seen in -
1. Enteric fever with intestinal perforation
2. Chilaiditi's syndrome
3. Iatrogenic pneumoperitoneum
4. All of above

Correct answer: 4. All of above

Explanation: Ans. is 'd' i.e.. All of above o Chilaiditi's syndrome : Condition characterised by inter position of small or large bowel between liver and right diaphragm.Radiologically it gives gas under diaphragm.o Iatrogenic pneumoperitoneum : Certain procedure like peritoneal dialysis, Iatrogenically air pushed before putting PD cannula to avoid injury of viscera in such case gas under diaphragm can be seen and all cases when intestine or viscera preforat we can get gas under diaphragm.